Cause of myringosclerosis is
1. Genetic
2. Grommet insertion
3. Otosclerosis
4. Idiopathic

Correct answer: 2. Grommet insertion

Explanation: Grommet insertion is preferred if myringotomy and aspiration combined with medical measures have not helped and fluid recurs, a grommet is inserted to provide continued aeration of the middle ear. It is left in place for weeks or months or till it is spontaneously extruded. Ref - PL DHINGRA diseases of ear nose and throat, 6th edition, page no 65